14 year old boy with 78 kg weight & hypothyroidism developed sudden onset of severe pain & tenderness on left hip as a result of minor fall. Most likely diagnosis is -
1. Fracture neck femur
2. SCFE
3. Perthes
4. Hip Dislocation Slipped

Correct answer: 2. SCFE

Explanation: Information in this question are :-


Adolescent (14 years) male
Obese (78 kg)
Hypothyroidism
Hip pain after a minor fall


Diagnosis is SCFE.